Anesthetic agent contraindicated in acute intermittent porphyria is?
1. Halothane
2. Isoflurane
3. Propofol
4. Thiopentone

Correct answer: 4. Thiopentone

Explanation: Ans. is 'd' i.e., Thiopentone Anesthetics in porphyriaSafeUnsafe (should not be used)* Propofol* Benzodiazepines* Opioids (other than pentazocine)- morphine, codeine, pethidine, fentanyl, alfentanyl, naloxone* Lidocaine, Bupivacaine* Muscle relaxants* Neostagmine, atropine, glycopyrrolate* Aspirin, indomethacin, naproxen* Halothane, N2O, isoflurane* Barbiturate (thiopentone)* Etomidate* Pentazocine* Ropivacaine